In a patient having dense bones, penetration is best
achieved by:
1. Increase in mA
2. Increase in kVp
3. Increased exposure time
4. Increased developing time

Correct answer: 2. Increase in kVp